Which of the following is most commonly implicated in cervical carcinoma
1. HPV 16
2. HPV 18
3. HPV 31
4. HPV 36

Correct answer: 1. HPV 16

Explanation: Cancer of the cervix is most commonly caused by 2 types of HPV - 16,18 Among them HPV16 is more common Ref : Internet sources Human papillomavirus types 16 and 18 and the prognosis of ... - NCBI.